Denominator while calculating the secondary attack rate includes -
1. All the people living in next fifty houses
2. All the close contacts
3. All susceptible amongst close contact
4. All susceptible in the whole village

Correct answer: 3. All susceptible amongst close contact

Explanation: Ans. is 'c' i.e., All susceptible amongst close contact Secondary attack rate (SAR) SAR is defined as "the number of exposed persons developing the disease within the range of incubation period, following exposure to primary case".